False positive Electric Pulp Test is due to all except
1. Anxiety
2. Liquefactive necrosis of pulp
3. Pain killer last night
4. Tooth wet by saliva and surrounding tissues

Correct answer: 3. Pain killer last night